Burr cell is seen in -
1. Uremia
2. Hepatocellular carcinoma
3. Gastric carcinoma
4. Ovarian carcinoma

Correct answer: 1. Uremia